Which one of the following cell type of lung cancers is most frequently associated with hypercalcaemia
1. Small cell
2. Large cell
3. Squamous cell
4. anaplastic

Correct answer: 3. Squamous cell